All of the following is true about dashboard injury except-
1. It is associated with posterior dislocation of the hip
2. Sciatic nerve may be involved leading to foot drop
3. Avascular necrosis of the hip could be a late complication
4. The point of impact is on the greater trochanter

Correct answer: 4. The point of impact is on the greater trochanter

Explanation: posterior dislocation of hip = xray *The injury is sustained by violence directed along the shaft of the femur, with the hip flexed. It requires a moderately severe force to dislocate a hip, as often occurs in motor accidents. The occupant of the car is thrown forwards and his knee strikes against the dashboard. The force is transmitted up the femoral shaft, resulting in posterior dislocation of the hip. *Injury to sciatic nerve may cause foot drop. AVN of femoral head may occur as a late complication. Ref: Apley's 9th/e p.844